A 9-years-old female child presented with polyuria, polydipsia and metabolic acidosis. On slit lamp examination crystal deposits are seen in cornea. What is the diagnosis?
1. Cystinuria
2. Cystinosis
3. Cystothioninuria
4. Homocysteinuria

Correct answer: 2. Cystinosis

Explanation: b. Cystinosis(Ref: Nelson 20/e p 2529-2530)Features of renal tubular dysfunction like polyuria, polydipsia and metabolic acidosis, along with presence of crystal deposits in cornea on slit lamp examination of eye suggest a diagnosis of Cystinosis